Oral hairy leukoplakia occurs in
1. Carcinoma tongue
2. Oral cardidiasis
3. HIV-AIDS
4. Infectious mononucleosis

Correct answer: 3. HIV-AIDS

Explanation: Hairy leukoplakia is a distinctive oral lesion that is usually seen in immunocompromised patients. Approx 80% of patients with hairy leukoplakia are infected with HIV; the presence of this lesion sometimes calls attention to the existence of HIV infection. However rest 20% are seen in Immunocompromised due to cancer therapyor transplant immunosuppression. ref:Robbins pathologic basis of disease; Edition 8 ;pg;743.